Characteristic feature of early congenital syphilis is:
1. Microcephaly
2. Saddle nose
3. Interstitial keratitis with saber skin
4. Vesicular rash with bulla over palms and soles

Correct answer: 4. Vesicular rash with bulla over palms and soles

Explanation: D i.e. Vesicular rash with bulla over palms & soles